Vaccine preventable neonatal disease is
1. Tuberculosis
2. Tetanus
3. Pertussis
4. Measles

Correct answer: 2. Tetanus